In which of the following types of Carcinoma Breast, Comedo growth pattern in seen ?
1. Ductal carcinoma in situ
2. Medullary carcinoma
3. Lobular carcinoma in situ
4. Infiltrating lobular carcinoma

Correct answer: 1. Ductal carcinoma in situ

Explanation: - Historically, ductal carcinoma in situ (intraductal carcinoma) has been divided
into five architectural subtypes : comedocarcinoma, solid, cribriform, papillary and micropapillary.
Comedocarcinoma is characterized by solid sheets of pleomorphic cells with high grade nuclei and central necrosis
The necrotic cell membranes commonly calcify and are detected on mammography as clusters of linear and branching microcalcifications.